Smallpox eradication was successful due to all of the following reasons except
1. Subclinical cases did not transmit the disease
2. A highly effective vaccine was available
3. Cross-resistance existed with animal pox
4. Infection provided lifelong immunity

Correct answer: 3. Cross-resistance existed with animal pox

Explanation: Epidemiological Reasons/Basis For Smallpox Eradication:
• No known animal reservoir
• No long term carrier state
• Infection provides lifelong immunity
• Case detection simple due to characteristic rash
• Subclinical cases did not transmit the disease
• A highly effective vaccine was available
• International cooperation